Paired t test is equivalent in non parameteric test
1. Mann-Whitney Test
2. Kruskal-Wallis Test
3. Wilcoxon Signed Test
4. Mc Nemar's Test

Correct answer: 3. Wilcoxon Signed Test